Drug of choice for delirium tremens is
1. Acamprosate
2. Barbiturates
3. Benzodiazepines
4. Naltrexone

Correct answer: 3. Benzodiazepines

Explanation: Alcohol Withdrawal: * when there is Cessation of (or reduction in) alcohol use that has been heavy and prolonged. Two (or more) of the following, develop increased hand tremor insomnia Anxiety grand mal seizures nausea vomiting psychomotor agitation hallucinations or illusions transient visual, tactile,auditory autonomic hyperactivity The classic sign of alcohol withdrawal is tremulousness Alcohol Withdrawal Delirium(Delirium Tremens*): alcohol intoxication/withdrawal is associated with agitated confusion, tactile or visual hallucinations, delusions, seizures. *Rum Fits -During withdrawal causes one or several grand mal convulsions. Treatment of delirium tremens: benzodiazepines, antipsychotic agents(haloperidol). Reference: P.396 397 chap 12.2 - Alcohol-Related DisordersSuicide Kaplan & Sadock's Synopsis of Psychiatry: Behavioral Sciences/Clinical Psychiatry, 10th Edition